Cells are most radiosensitive in
1. S phase
2. Mphase
3. G1 phase
4. G0 phase

Correct answer: 2. Mphase

Explanation: Ref Robbins9/e p140 Cells are most radiosensitive in G2M interphase Cells are least radioactive in Sphase